Diplegia Vs quadriplegia-False is
1. Diplegia is weakness in upper arm more than leg
2. Quadriplegia is most severe form of cerebral palsy
3. Quadriplegia is usually association with MR & seizure
4. All are corract

Correct answer: 1. Diplegia is weakness in upper arm more than leg

Explanation: Ans. is 'a' i.e., Diplegia is weakness in upper arm more than leg